First drug to be used in absence seizures is:
1. Phenytoin
2. Benzodiazepines
3. Valproate
4. Carbamazepine

Correct answer: 3. Valproate

Explanation: Valproic acid is the drug of choice for absence seizures. It is an alternative I adjuvant drug for GTCS, SPS and CPS. Myoclonic and atonic seizures-control is often incomplete, but valproate is the drug of choice. Mania and bipolar illness: as alternative to lithium Ref: KD TRIPATI 8TH ED. page 417